In females, which of the following is the last visceral organ to putrefy after death?
1. Prostate
2. Uterus
3. Brain
4. Liver

Correct answer: 2. Uterus

Explanation: Virgin uterus is one of the last visceral organs to putrefy. Gravid uterus or uterus soon after delivery putrefies rapidly. In males prostate resist putrefaction for a very long time. The last organ to putrify is bone.